A 55-year-old woman is recently diagnosed with amyloidosis. She is now noticing increasing shortness of breath, fatigue, and edema. On examination, the JVP is at 10 cm with a negative Kussmaul's sign but prominent x and y descent. The blood pressure is 90/70 mm Hg, no pulsus paradoxus, pulse 100/min with low volume, and normal heart sounds.For the above patient with shortness of breath and peripheral edema, select the most likely diagnosis.
1. cardiac tamponade
2. constrictive pericarditis
3. restrictive cardiomyopathy
4. right ventricle myocardial infarction (RVMI)

Correct answer: 3. restrictive cardiomyopathy

Explanation: The combination of absent pulsus and absent Kussmaul sign with prominent x descent favors a restrictive cardiomyopathy.Unlike constrictive pericarditis, restrictive cardiomyopathies frequently present with an enlarged heart, orthopnea, LVH, and bundle branch